All are true about management of PDPH except-
1. Early ambulation
2. Hydration
3. Cerebral vasoconstriction - caffeine
4. Analgesic

Correct answer: 1. Early ambulation

Explanation: Ambulation causes aggravation of PDPH. Bed rest is advised. PDPH- Post Dural Puncture headache. May follow lumbar puncture, spinal anesthesia, wet epidural tap (in which epidural needle pierced dura). Onset 12-72hrs and last for 1-2 weeks. Aggravated by sitting and relieved by lying down. Incidence increases with the larger needle, cutting point (in comparison to pencil point) needle, young age, females, pregnancy. Prevention by thinner needle Management: Supine position IV fluids Caffeine and analgesia Epidural blood patch